Score 4 of IOTN?
1. No treatment
2. Minor anomaly, no treatment
3. Borderline treatment
4. Treatment need

Correct answer: 4. Treatment need